The earliest identifiable cells of T-Cell lineage during maturation are
1. CD7+ Pro-T-Cells
2. CD4+ Pre-T-Cells
3. CD8+ Pro-T-Cells
4. CD8+ Pre-T-Cells

Correct answer: 1. CD7+ Pro-T-Cells